Pitting of nails is seen in :
1. Lichen planus
2. Psoriasis
3. Phemphigus
4. Arsenic poisoning

Correct answer: 2. Psoriasis

Explanation: B. i.e. Psoriasis